All of the following statement are true regarding asbestosis except:
1. Amphiboles are more pathogenic
2. It begins in a upper zone
3. Can cause mesothelioma
4. Pulmonary hypertension may be seen

Correct answer: 2. It begins in a upper zone

Explanation: Asbestosis exists in 2 diff forms: - 1. Amphibole - it is straight fiber - goes directly into lungs 2. Chrysotile - Serpentile Appearance - gets trap in upper airway Asbestosis is heavy particle, therefore disease begins with the base of the lung. Mesothelioma is most specific Carcinoma associated with asbestosis M/C Ca associated - Bronchogenic Ca Initial manifestation - Pleural plaques then fibrosis